Which of the following favors filtration at the arteriolar end of the capillary bed?
1. Decrease in hydrostatic pressure of capillaries
2. Increase in hydrostatic pressure of capillaries
3. Increase in oncotic pressure of capillaries
4. Decrease in oncotic pressure of interstitium

Correct answer: 2. Increase in hydrostatic pressure of capillaries

Explanation: Ans. is 'b' i.e. Increase in hydrostatic pressure of capillaries The rate of filtration at any point along a capillary depends on balance of Starling forces - (A) Hydrostatic pressure gradient: (B) Osmotic pressure gradient:(Hydrostatic press, of capillaries (Plasma colloid Osmotic pressure minus hydrostatic press, of minus interstitial fluid colloid osmoticinterstitium) pressure)Net filtration press. (NFP) = Hydrostatic press, gradient - Osmotic press, gradientIf NFP is positive then there is outward movement of fluid across the capillaries & if negative then inward movement of fluid occurs.* In normal conditionsAt the arteriolar end the hydrostatic pressure gradient is more than osmotic press, gradient so there is outward movement of fluid into the interstitial space &At the venular end the osmotic press, gradient exceeds hydrostatic press, gradient (filtration pressure) resulting into fluid movement into the capillary.Filtration rate = Kf x NFPKf - Capillary filtration coefficientNFP - Net filtration pressure Capillary filtration coefficient is proportionate to the permeability of the capillary wall & the area available for filtration.Fluid pressure and colloid osmotic pressure forces operate at the capillary membrane, tending to move fluid either outward or inward through the membrane pores.